Muir and Barclay formula is used for
1. Total parentral nutrition
2. Acute pancreatitis
3. Colloid resuscitation in burns
4. Enhanced recovery in colo-rectal surgery

Correct answer: 3. Colloid resuscitation in burns

Explanation: The Muir and Barclay Formula estimates the amount of fluid that needs to be infused during the first 36 hours after a major burn. The Muir and Barclay Formula was described for albumin as the resuscitation fluid.0.5 x percentage body surface area burnt x weight = one portion;Periods of 4/4/4, 6/6 and 12 hours, respectively;One portion to be given in each period.Ref: Bailey and love 27e pg: 624